Gene is
1. Codon
2. Anticodon
3. Cistron
4. Okazaki fragment

Correct answer: 3. Cistron

Explanation: A cistron is a gene. The term cistron is used to emphasize that genes exhibit a specific behavior in a cis-trans test; distinct positions (or loci) within a genome are cistronics The words cistron and gene were coined before the advancing state of biology made it clear that the concepts they refer to are practically equivalent. Ref satyanarayana 4e